Which of the following drugs is active against Pseudomonas?
1. Ceftriaxone
2. Piperacillin-tazobactum
3. Ampicillin
4. Cefalexin

Correct answer: 2. Piperacillin-tazobactum

Explanation: SEMISYNTHETIC PENICILLINS: CLASS I FI CATION 1 . Acid-resistant alternative to penicillin G Phenoxymethyl penicillin (Penicillin V). 2. Penicillinase-resistant penicillins Methicillin, Cloxacillin. 3. Extended spectrum penicillins (a) Aminopenicillins: Ampicillin, Bacampicillin, Amoxicillin. (b) Carboxypenicillins: Carbenicillin, Ticarcillin. (c) Ureidopenicillins: Piperacillin, Mezlocillin. Beta lactamase inhibitors: Clavulanic acid Sulbactam, Tazobactam Piperacillin: This antipseudomonal penicillin is about 8 times more active than carbenicillin. It has good activity against Klebsiella and is used mainly in neutropenic/ immunocompromised patients having serious gram-negative infections, and in burns. Elimination tlh is 1 hr. Concurrent use of gentamicin or tobramycin is advised. ESSENTIALS OF MEDICAL PHARMACOLOGY K.D.TRIPATHI SIXTH EDITION PAGE NO:699,702